Most common post-operative complication of spinal anaesthesia -
1. Post-spinal headache
2. Hypotension
3. Meningitis
4. Urinary retention

Correct answer: 1. Post-spinal headache

Explanation: Ans. is 'a' i.e., Post-spinal headache Complications of spinal anaesthesiaIntraoperativePostoperativeo Hypotension (most common)o Bradycardiao Respiratory depressiono Cardiac arresto Hypothermia in elderlyo Haedache (post dural puncture headach) - most commono Cranial nerve palsies (any cranial nerve except the 1st, 9th & 10th most commonly 6th nerve is involved)o Cauda equina syndromeo Arachnoiditiso Meningitiso Urinary retentiono Neurological deficit, e.g. paraplegiao Muscle wasting